Candidates (s) for global eradication by WHO
a. Malariab. Dracunculosis c. Polio d. Measles e. Chicken pox
1. ab
2. abd
3. abc
4. bcd

Correct answer: 4. bcd